Spot map was devised by ?
1. Louis pasteur
2. Ronald Ross
3. David Moley
4. John snow

Correct answer: 4. John snow

Explanation: Ans. is 'd' i.e., John snow John Snow (1813-1858) found the link between cholera and contaminated drinking water in 1854, using spot map.